Tzank smear in varicella-zoster shows -
1. Acantholysis
2. Spongiosis
3. Multinucleated Giant cell
4. Necrotic cell

Correct answer: 3. Multinucleated Giant cell

Explanation: Ans. is 'c' i.e., Multinucleated Giant cellTzank smear findings in bullous disordersDisordersFindingso Pemphiguso Bullous pemphigoido Varicella-zoster infectiono Herpes simpex infectiono Toxic epidermal necrolysisAcantholysisPredominantly eosinophilsMultinucleated giant cellsMultinucleated giant cellsNecrotic cells